Which muscle is inserted into the floor of the intertubercular sulcus of the humerus
1. Latissimus dorsi
2. Teres major
3. Pectoralis major
4. Deltoid

Correct answer: 1. Latissimus dorsi

Explanation: Pectoralis major is inserted into the lateral lip of intertubercular sulcus. The insertion is bilaminar. Teres major is inserted into the medial lip of intertubercular sulcus. The deltoid is inserted into the deltoid tuberosity. Latissimus dorsi is inserted into the floor of the intertubercular sulcus. REF: BD Chaurasia 7th edition Page no: 16 Figure 2.15,2.16 , page no:14- BD Chaurasia- upper limb & thorax 6th edition